25 year old woman with IUD inserted 2 years ago presents with fever. On examination, actinomyces is positive in cervical cytology. What would you advise regarding IUD?
1. Continue some contraception, no need of treatment
2. Hysterectomy
3. IUD is left in place and antibiotic course is started
4. Remove the IUD and intensive antibiotic therapy given

Correct answer: 4. Remove the IUD and intensive antibiotic therapy given

Explanation: Actinomyces infection due to IUD, if symptomatic start on intensive antibiotic therapy along with removal of IUD. Initiate alternative contraceptive method.